Diagnosis of carcinoid tumor is done by?
1. 5 HIAA
2. DHEA
3. VMA
4. Metanephrines

Correct answer: 1. 5 HIAA

Explanation: ANSWER: (A) 5HIAAREF: Harrisons 17th ed chapter 344The diagnosis of carcinoid syndrome relies on measurement of urinary or plasma serotonin or its metabolites in the urine. The measurement of 5HIAA is most frequently used.False-positive elevations may occur if the patient is eating serotonin-rich foods such as bananas, pineapple, walnuts, pecans, avocados, or hickory nuts or is taking certain medications (cough syrup containing guaifenesin, acetaminophen, salicylates, or L-dopa).